Most common site of Mucosa associated lymphoid tissue (MALT) is _________
1. Stomach
2. Duodenum
3. Jejunum
4. Ileum

Correct answer: 4. Ileum

Explanation: MALT is aggregation of lymphocytes present in ileum.